Not related to Boundary of triangle of doom:
1. Medial - vas deferens
2. Lateral - gonadal vessels
3. Apex - deep inguinal ring
4. Contents - internal iliac vessels

Correct answer: 4. Contents - internal iliac vessels

Explanation: Explanation:Boundary of triangle of doom: Medial - Vas deferens Lateral - Gonadal vessels Apex - Deep inguinal ring Contents - External iliac vessels